Which of the following causes acute compartment syndrome most frequently
1. Fractures
2. Postischemic swelling
3. Exercise initiated syndrome
4. Soft tissue injury

Correct answer: 1. Fractures

Explanation: A i.e. Fractures